Fastest conducting part in the heart is:
1. Atrial muscle
2. Ventricular muscle
3. Bundle branches
4. Purkinje fibers

Correct answer: 4. Purkinje fibers

Explanation: Purkinje fibers are the fast conducting part of the heart. It exhibit the following properties: (1) Rapidly depolarizing fibers, (2) large diameter of fibers (largest in heart), and (3) high number of gap junctions between cells. These properties make Purkinje fibers the fastest conducting part in heart. Rapid conduction benefits the ventricular contraction. Since impulse spreads very rapidly, all fibers are excited almost simultaneously; all fibers of both ventricles contract together.